Early adolescent age is -
1. 8-11 years
2. 10-13 years
3. 14 - 15 years
4. 16 - 19 years

Correct answer: 2. 10-13 years

Explanation: Ans. is 'b' i.e., 10-13 years WHO/UN definitions* Adolescent-10-19 years# Early adotescent-10-13 years# Middle adotescent-14-15 years# Late adolescent-16-19 years* Youth-15-24 years* Young people-10-24 years